Crown Rump Length is 20 cm, length of lower limb is 11 cm. Which of the following is a false statement ?
1. Rule of Hasse states that gestational age of a fetus upto 5 months is estimated by under-root of crown heel length
2. Morrison's rule states that gestational age of fetus after 5 months is crown heel length (CHL)/ 5
3. CHL is equal to crown rump length + length of lower limb
4. Gestational age of the fetus will be 7-8 months

Correct answer: 4. Gestational age of the fetus will be 7-8 months

Explanation: Rule of Hasse states that gestational age of a fetus upto 5 months is estimated by under-root of crown heel length. Morrison's rule states that gestational age of fetus after 5 months = crown heel length (CHL)/ 5 so, here CHL = crown rump length + length of lower limb CHL = 20+11 = 31 Gestational age = 31/5 [?] 6 months.